"Giardiasis" is best diagnosed by:
1. CFT
2. Cyst and trophozite in stool
3. Haemaglutination
4. None

Correct answer: 2. Cyst and trophozite in stool

Explanation: Cyst and trophozite in stool